Magnan's symptoms are associated with which poisoning event
1. Cocaine
2. cannabis
3. Amphetamine
4. Alcohol

Correct answer: 1. Cocaine

Explanation: Magnan's symptom = cocaine bugs feeling of insect crawling under the skin ref : narayana reddy